Three hosts in life cycle are required in-
1. Taenia solium
2. Entamoeba histolytica
3. Trichuris trichiura
4. Diphyllobothrium latum

Correct answer: 4. Diphyllobothrium latum

Explanation: Ans. D. Diphyllobothrium latuma. In D. latum-There are three hosts-one definitive and two intermediateb. Definitive host: man, dog, cat, pigc. First intermediate host: cyclopsd. Second intermediate host: fresh water fishe. Entamoeba histolytica and Trichuris trichiura need only one host (man) in the life cycle.f. Taenia solium requires two hosts in life cycle-man and pig